According to CDC recommendations, HIV screening of pregnant women is:
1. Opt in testing
2. Opt out testing
3. Compulsory
4. Symptomatic

Correct answer: 2. Opt out testing

Explanation: Ans is 'b' .e. Opt out testing "The Center for Disease Control and Prevention recommended adoption of the opt-out protocol into routine prenatal care."- Williams obstetrics 22/e p1312There are two different forms of routine screen testing: opt-out and opt-in.Opt-outOpt-out testing means that all women receive an HIV test, unless they specifically state that they do not want one.Opt-inWith opt-in testing, a woman may be informed that a test is available, but they will only be given one if they specifically request it. Generally this means that only women who are worried about HIV (perhaps because they fit into a 'high-risk group') will agree to be tested. Opt-in testing is generally considered less effective than opt-out. Many women believe that they simply don't need a test, or fear that the midwife or doctor will make assumptions about their levels of 'risky' behaviour if they ask for one. This means uptake tends to be much lower.The Center for Disease Control and Prevention (U.S.) recommends a universal, but voluntary, screening for all pregnant women. It recommends opt-out testing.Repeat screening in the third trimester is recommended in areas with elevated rates of HIV infection among pregnant women.In addition, any woman who doesn't know her HIV status by the time she goes into labor should be tested with a rapid HIV test, which can provide results within minutes.Because HIV can be transmitted through breast milk, CDC recommends that all HIV-infected mothers in the United States should avoid breastfeeding.